Craniopharyngiomas are basically-
1. Tumours resembling osteomas
2. Tumours derived from Rathke's Pouch
3. Tumors similar to glottis cancer
4. Adenocarcinomas

Correct answer: 2. Tumours derived from Rathke's Pouch

Explanation: Ans. is 'b' i.e., Tumours derived from Rathke's Pouch Craniopharyngiomao Craniopharyngioma is a type of brain tumor derived from pituitary gland embryonic tissue that occurs most commonly in children but also in men and women in their 50s and 60s. People may present with bitemporal inferior quadrantanopia leading to bitemporal hemianopsia, as the tumor may compress the optic chiasm.o Craniopharyngiomas are also known as Rathke pouch tumors, hypophyseal duct tumors, or adamantinomas.